Non disjunction of chromosome occurs in which
stage
1. Prophase
2. Metaphase
3. Anaphase
4. Telophase

Correct answer: 3. Anaphase